Haemorrhage at macular spot in high myopia is called
1. Lacquer's lines
2. Dalen-Fuchs nodules
3. Foster-Fuchs flecks
4. Berlin's oedema

Correct answer: 3. Foster-Fuchs flecks

Explanation: MYOPIA Pathological myopia Fundus examination reveals following characteristic signs : (a) Optic disc appears large and pale and at its temporal edge a characteristic myopic crescent is present. Sometimes peripapillary crescent encircling the disc may be present, where the choroid and retina is distracted away from the disc margin. A superaction crescent (where the retina is pulled over the disc margin) may be present on the nasal side. (b) Degenerative changes in retina and choroid are common in progressive myopia. These are characterised by white atrophic patches at the macula with a little heaping up of pigment around them. Foster-Fuchs' spot (dark red circular patch due to sub-retinal neovascularization and choroidal haemorrhage) may be present at the macula. Cystoid degeneration may be seen at the periphery. In an advanced case there occurs total retinal atrophy, particularly in the central area. Image : This highly myopic eye (choroidal atrophie of the posterior pole) has developed subretinal neovascularization which led to repeated hemorrhages and scar tissue formation. Visible are subretinal hemorrhages and subretinal scar tissue Reference :- A K KHURANA; page:-34